Corticobasal degeneration is characterized by all except
1. Frontoparietal cortical atrophy
2. Symmetric
3. Late onset
4. Limb apraxia

Correct answer: 2. Symmetric

Explanation: Corticobasal degeneration is atypical parkinson's disease. Atypical parkinson's disease is generally symmetric in nature except for corticobasal degeneration.